The simplest measure of mortality?
1. Crude death rare
2. Case fatality rate
3. Propotional mortality rate
4. Specific death rate

Correct answer: 1. Crude death rare

Explanation: ref: Park's 23rd edition pg 57 It is the number of deaths (from all causes) per 1000 estimated mid-year population in one year, in a given place.